All of the following decrease bone resorption in osteoporosis except
1. Alendronate
2. Etidronate
3. Strontium
4. Teriparatide

Correct answer: 4. Teriparatide

Explanation: Teriparatide increase bone mineral density. It stimulates bone formation. It is a recombinant parathyroid hormone bisphosphonates decrease resorption of bone strontium increase bone formation and decrease resorption (REF.Essential of medical pharmacology K D TRIPATHI 6 Edition, Page No - 329)